Most common translocation in burkitt's lymphoma is:
1. t (9;22)
2. t (8;21)
3. t (8;14)
4. t (11;22)

Correct answer: 3. t (8;14)

Explanation: Malignancy Translocation Affected Genes Chronic myelogenous leukemia (CML) (9;22) ABL 9q34 BCR 22q11 Acute myeloid leukemia (AML) (8;21) (15;17) AML 8q22 ET0 21q22 PML 15q22 RARA 17q21 Burkitt lymphoma (8;14) MYC 8q24 IGH 14q32 Mantle cell lymphoma (11;14) CCND 1 11q13 IGH 14q32 Follicular lymphoma (14;18) IGH 14q32 BCL2 18q21 Ewing sarcoma (11;22) FLI 1 11q24 EWSR 1 22q12 Prostatic adenocarcinoma (7;21) (17;21) TMPRSS2 (21q22.3) ETV1 (7q21.2) ETV4 (17q21)